The most definitive method of diagnosing pulmonary embolism is:
1. Pulmonary ateriography
2. Radioisotope perfusion pulmonary scintigraphy
3. EKG
4. Venography

Correct answer: 1. Pulmonary ateriography

Explanation: Ans. Pulmonary ateriography